Acinic cell carcinoma is found in
1. Thyroid
2. Salivary glands
3. Breast
4. Stomach

Correct answer: 2. Salivary glands

Explanation: Acinic cell tumour is a rare,slow growing tumour that occurs almost always in parotid and is composed of cells like serous acini.It is more common in women.It occurs in adults and elderly.It can involve facial nerve or neck lymph nodes.Clinically,it is of variable consistency with soft and cystic areas.Microscopically, it can be micro cystic,papillary,follicular, medullary,etc SRB,5th,417.